Philadelphia chromosome is an example of-
1. Balanced translocation
2. Deletion
3. Non-dysjunction
4. Duplication

Correct answer: 1. Balanced translocation

Explanation: Ans. is 'a' i.e., Balanced translocation